Medulloblastoma most commonly metastasize to
1. Lung
2. CSF
3. Liver
4. Bone

Correct answer: 2. CSF

Explanation: Spread through the CSF is common, may present as nodular masses anywhere in the CNS. Metastases to the cauda equina are sometimes termed drop metastases. Refer robbins 9/e 844